Cells present in the medulla of the ovary, which is homologous to interstitial cells of the testes
1. Stromal cells
2. Hilus cells
3. Germinal epithelium
4. Tunica albuginea

Correct answer: 2. Hilus cells

Explanation: INDERBIR SINGH'S TEXTBOOK OF HUMAN HISTOLOGY-PAGE NO:344Medulla: the medulla consists of connective tissue in which numerous blood vessels are seen elastic fibers and smooth muscles are also present. the hilum of the ovary is the site for entry of blood vessels and lymphatics.it is continuous with the medulla. the hilum also contains some remnants of the mesonephric duct; and hilus cells that are similar to the interstitial cells of the testis